Leishmania is cultured in which media?
1. Chocolate agar
2. NNN
3. Tellurite
4. Sabourauds

Correct answer: 2. NNN

Explanation: Ans. is 'b' i.e., N.N.N.(Ref: Chatterjee, 12th/e, p. 62, 56)* L. donovani can be cultured in N.N.N. (Novy, Neil and Nicolle) medium. Hockmeyer and Scheinder liquid media.* In N.N.N. medium amastigote form changes into promastigote form. Q